After splenectomy which vaccine has to be given-
1. Pneumococal
2. Rotavirus
3. BCG
4. MMR

Correct answer: 1. Pneumococal

Explanation: Ans. is 'a' i.e., Pneumococal o Children at hight risk of pneumococal disease :-Congenital immunodeficiencyHIVImmunosuppresant drugSickle cell diseaseAsplenia, post splenectomyChronic cardiac diseaseChronic pulmonary, renal diseaseDiabetes mellitus